Flag hair sign is seen in
1. Kwashiorkor
2. Marasmus
3. Scurvy
4. Pellagra

Correct answer: 1. Kwashiorkor

Explanation: Ans. (a) KwashiorkorRef: Nelson's Pedia, 19th ed. Ch 670# kwashiorkorDisease due to decreased protein and caloric intake.Clinical Features are:# Hypoalbuminemia which leads to pedal edema# Hepatomegaly- Hallmark feature of kwashiorkor# Skin: Sun-exposed skin is relatively spared, as are the feet and dorsal aspects of the hands; Hypo pigmentation# Hair and Nail: Nails are thin and soft, and hair is sparse, thin, and depigmented, sometimes displaying a flag sign of alternating light and dark bands that reflect alternating periods of adequate and inadequate nutrition.# Apathy# Lack of appetite* PELLAGRA:This presents with edema, erythema, and burning of sun-exposed skin on the face, neck, and dorsal aspects of the hands, forearms, and feet* SCURVY (VITAMIN C OR ASCORBIC ACID DEFICIENCY): This presents initially with follicular hyperkeratosis and coiling of hair on the upper arms, back, buttocks, and lower extremities. Perifollicular erythema and hemorrhage, swollen, erythematous gums; stomatitis; and subperiosteal hematomas are also seen.